An absolute contraindication for extraction of teeth is:
1. Hypertension
2. Myocardial infarction
3. Thyrotoxicosis
4. Central hemangioma

Correct answer: 4. Central hemangioma